The transfer of genetic information from one cell to another can occur by three methods. Phage mediated transfer of cell DNA into host is known as?
1. Transduction
2. Tranformation
3. Transmission
4. Conjugation

Correct answer: 1. Transduction

Explanation: The transfer of genetic information from one cell to another can occur by three methods: conjugation, transduction, and transformation. Conjugation is the mating of two bacterial cells, during which DNA is transferred from the donor to the recipient cell (Figure 4-2). The mating process is controlled by an F (fertility) plasmid (F factor), which carries the genes for the proteins required for conjugation. Transduction is the transfer of cell DNA by means of a bacterial virus (bacteriophage, phage). Transformation is the transfer of DNA itself from one cell to another. Ref: Levinson W. (2012). Chapter 4. Genetics. In W. Levinson (Ed), Review of Medical Microbiology & Immunology, 12e.